A female underwent abortion after finding out evidence of molar pregnancy. Which of the following is a BAD prognostic factor for choriocarcinoma?
1. Full term pregnancy
2. Short duration
3. Abortion
4. Low beta HCG

Correct answer: 1. Full term pregnancy

Explanation: Modified WHO Prognostic Scoring System as Adapted by FIGO: Scores 0 1 2 4 Age <40 > 40 - - Antecedent pregnancy Mole Abortion Term - Interval months from index pregnancy <4 4-<7 7-<13 > 13 Pretreatment serum hCG (IU/mL) < 103 103-< 104 104-< 105 > 105 Largest tumor size (including uterus) - 3-< 5 cm > 5 cm - Site of metastases Lung Spleen, kidney Gastrointestinal Liver, brain Number of metastases - 1-4 5-8 >8 Previous failed chemotherapy - - Single drug 2 or more drugs Ref: Aghajanian P. (2007). Chapter 53. Gestational Trophoblastic Diseases. In A.H. DeCherney, L. Nathan (Eds), CURRENT Diagnosis & Treatment Obstetrics & Gynecology, 10e.